Nimodipine is used in the management of?
1. Subdural hemorrhage
2. Subarachnoid hemorrhage
3. Extradural hemorrhage
4. Intraventricular hemorrhage

Correct answer: 2. Subarachnoid hemorrhage

Explanation: MEDICAL MANAGEMENT OF SAH MAINTAIN ADEQUATE CEREBRAL PERFUSION PRESSSURE- If the patient is alert, it is reasonable to lower the systolic blood pressure to below 160 mmHg using nicardipine, labetalol, or esmolol. If the patient has a depressed level of consciousness, ICP should be measured and the cerebral perfusion pressure targeted to 60-70 mmHg. If headache or neck pain is severe, mild sedation and analgesia are prescribed. CALCIUM CHANNEL BLOCKER vasospasm remains the leading cause of morbidity and mortality following aneurysmal SAH. Treatment with the calcium channel antagonist nimodipine (60 mg PO every 4 h) improves outcome, perhaps by preventing ischemic injury rather than reducing the risk of vasospasm. Nimodipine can cause significanthypotension in some patients, which may worsen cerebral ischemia in patients with vasospasm. TREATMENT OF SYMPTOMATIC CEREBRAL VASOSPASM Symptomatic cerebral vasospams treated by increasing the cerebral perfusion pressure by raising mean arterial pressure through plasma volume expansion and the judicious use of IV vasopressor agents, usually phenylephrine or norepinephrine